Subepithelial deposits are seen in -
1. Membranoproliferative nephropathy
2. Membranous GN
3. Minimal change GN
4. Diabetic sclerosis

Correct answer: 2. Membranous GN